The skeletal muscle action potential:
1. Is not essential for contraction to occur
2. Has a prolonged plateau phase
3. Spreads in ward to all parts of the muscle via the T-tubule system
4. Begins with an inward movement of K+ ion

Correct answer: 3. Spreads in ward to all parts of the muscle via the T-tubule system